The structure of Phospholipid consists of
1. Monoglyceride+phosphate+choline
2. Diglyceride+phosphate+choline
3. Triglyceride+phosphate+choline
4. Glycerol+phosphate+choline

Correct answer: 2. Diglyceride+phosphate+choline

Explanation: Phospholipid - 2 Fatty acid+ Glycerol+ PO + Choline or ethanolamine ( 2 Fatty acid + Glycerol is called Diacylglycerol or Diglyceride) Reference: Harpers illustrated biochemistry 31st edition page196